Spermin in semen is detected by ?
1. Barberio test
2. Florence
3. ELISA
4. Agglutination inhibition

Correct answer: 1. Barberio test

Explanation: Ans. is 'a' i.e., Barberio test Microchemical tests for seminal stain analysis:Barberio's test -Yellow coloured crystals of spermin picrate.Florence test Brown crystals of choline periodide.